'Holman Miller' sign on PNS CT scan?
1. Nasopharyngeal Ca
2. Juvenile nasopharyngeal angiofibroma
3. Carcinoma of ethmoidal sinus
4. Esthesioneuroblastoma

Correct answer: 2. Juvenile nasopharyngeal angiofibroma

Explanation: Ans. B. Juvenile nasopharyngeal angiofibromaJuvenile nasopharyngeal angiofibroma:a. Highly vascular usually benign tumor.b. Usually arises from sphenopalatine foramen.c. Exclusively seen in males, especially young boys, with 15-16 years being the most common age of presentation.d. Preoperative tumor embolization can certainly prevent intraoperative blood loss.e. Multi slice CECET is usual diagnostic modality.f. Indentation on the posterior wall of maxillary antrum is antral or Holman Miller sign.g. Surgical excision is Rx of choice.